Most commonly lesioned nerve in intracranial aneurysms is
1. Optic
2. Oculomotor
3. Trochlear
4. Abducent

Correct answer: 2. Oculomotor

Explanation: Intracranial aneurysm may involve oculomotor, abducent and optic nerve in descending order Trochlear nerve is involvement is higher in head trauma. Ref: Gray's 39e/p-227